Which one of the following does NOT act by increasing insulin secretion
1. Glyburide
2. Repaglinide
3. Tolbutamide
4. Biguanide

Correct answer: 4. Biguanide